Codex ali Men tarius is related to -
1. Water purity
2. Milk purity
3. Air pollution
4. Food stardardization

Correct answer: 4. Food stardardization

Explanation: Ans. is 'd i.e., Food standardization Food standards are :- i) Coder alimentarius ii) The Agmark standards iii) Bureau of Indian standards iv) ETA standards